A patient is admitted with 3rd episode of deep venous thrombosis. There is no history of any associated medial
illness. All of the following investigations are required for establishing the diagnosis except
1. Protein C deficiency
2. Antibodies to factor VIII
3. Antithrombin II deficiency
4. Antibodies to cardiolipin

Correct answer: 2. Antibodies to factor VIII

Explanation: It is a cqpillary vascular malformation also called as naevus simplex. Commonly seen in 40% of new borns. It is present at birth,usually involves nape of neck,face,scalp,limbs. With age,it goes for spontaneous regression and disappears completely,usually in one year.